___________  percentage of Na+ is reabsorbed from ascending loop of henle via ___________ transporter.
1. 20, Na+ – H+ exchange
2. 40, Na+ - K+ - 2Cl– symporter
3. 30, Na+ – Cl– symporter
4. 20, Na – K- 2Cl–  symporter

Correct answer: 4. 20, Na – K- 2Cl–  symporter

Explanation: % Na reabsorption
Site
Main mechanism


60 – 70%
PCT
Na+ – H+ exchanger


20 – 25%
Ascending loop of henle 
Na+ – K+ – 2Cl– symporter


10 – 12%
DCT
Na+ – Cl+ symporter


3 – 4%
Collecting duct
ENAC channel